Compounds with large amount of carbohydrate & small amount of protein
1. Glycoprotein
2. Glycosaminoglycan
3. Proteoglycan
4. Glycocalyx

Correct answer: 3. Proteoglycan

Explanation: C i.e. Proteoglycan